The most common postoperative psychiatric condition is:
1. Schizophrenia
2. Delirium
3. Chronic brain syndrome
4. Depression

Correct answer: 2. Delirium

Explanation: Delirium